Mucoviscidosis is most commonly related to –
1. Fibrocystic disease of pancreas
2. Duodenal atresia
3. Diaphragmatic hernia
4. Annular pancreas

Correct answer: 1. Fibrocystic disease of pancreas